False regaruing streptococcurs pyogenes:
1. Causes necrotizing fascitis
2. Beta hemolytic
3. M. protein is virulence factor
4. Resistant to bacitracin

Correct answer: 4. Resistant to bacitracin

Explanation: Resistant to bacitracin